'D'- form of amino acid is derived from?
1. Produced in liver
2. Break down from muscle
3. From external source
4. Synthesis in muscle

Correct answer: 3. From external source

Explanation: The amino acids which we can be synthesized in our body are always in 'L'-form. So, the source of 'D' amino acids is always exogenous either from diet or from intestinal bacterias. In body all L- amino acids are present and none of D-amino acids except D-serine and D-aspartate in Brain